Endoscopic biopsy from a case of H.pylori related duodenal ulcer is most likely to reveal ?
1. Antral predominant gastritis
2. Multi focal atrophic gastritis
3. Acute erosive gastritis
4. Gastric atrophy

Correct answer: 1. Antral predominant gastritis

Explanation: Ans. is 'a' i.e., Antral predominant gastritisH. Pylori infection and chronic gastritis o By far the most important etiologic association with chronic gastritis is chronic infection with H. Pylori. o Gastritis due to H. Pylori infection occurs in two patterns ?Predominantly antral gastritis --> Associated with high acid production and elevated risk for duodenal ulcer.Pangastritis (multifocal atrophic gastritis) --> Associated with lower gastric acid secretion and higher risk of gastric adenocarcinoma.H. Pylori associated diseases in GIT o Chronic gastritis o Peptic ulcer diseaseo Gastric carcinoma o Gastric MALT lymphoma